The characteristic of an "Arcon" articulator is:
1. The condylar elements are placed on the upper member of the articulator
2. The condylar elements are placed on the lower member of the articulator
3. The condylar elements are non-movable
4. The inclination of condylar path is in a curved plane

Correct answer: 2. The condylar elements are placed on the lower member of the articulator